Structures preserved in functional radical dissection of the neck, except
1. Internal jugular vein
2. Sternomastoid
3. Lymph nodes
4. Accessory nerve

Correct answer: 3. Lymph nodes